Smoking has which effect on Uterine leiomyoma formation
1. Higher risk of fibroid uterus
2. Lowers risk of leiomyoma formation
3. No change compared to general population
4. Higher risk of fibroid uterus in postmenopausal women

Correct answer: 2. Lowers risk of leiomyoma formation

Explanation: Smoking alters estrogen metabolism and lowers physiologically active serum estrogen levels. This explains lower risk of leiomyoma formation in smokers.